Investigation of choice for posterior urethral valve is?
1. Micturition cystouretrogram
2. Retrograde urethrography
3. Ultrasound
4. IVP

Correct answer: 1. Micturition cystouretrogram

Explanation: ANSWER: (A) Micturition cystouretrogramREF: Sutton 7th ed page 898, 899"Micturition cystouretrography is the best method to visualize Posterior Urethral valve, VUR and posterior urethraAnterograde techniqueDone with voiding cystouretrogram or excretory urographyBest for evaluating posterior urethraRetrograde techniquesFolder catheter passed through urethra and radio contrast injectedBest for anterior urethra